unconscious repletion of words said by the examiner
1. echolalia
2. echopraxia
3. puns
4. clang assosiation

Correct answer: 1. echolalia

Explanation: clang, ====subsequent words will have rhyming seen in MANIA puns,=== double meaning words echolalia=== unconscious repletion of words said by the examiner, seen in catatonia Ref. Kaplon and sadock, synopsis of psychiatry, 11 th edition, pg.No.194